Chandu, 45-years male shows calcification on the right side of his abdomen in an AP view. In lateral view the calcification is seen to overlie the spine. Most likely diagnosis is:
1. Gallstones
2. Calcified mesenteric nodes
3. Renal stones
4. Calcified rib

Correct answer: 3. Renal stones

Explanation: Ans. (c) Renal stones* Kidney stones are identified opposite 2nd lumbar vertebra" in X-ray KUB* Gall stones are anterior and Kidney stones overlie the lumbar spine in Lateral view.